Preanesthetic medication is used for A/E –
1. Decrease of anesthetic dose
2. Decrease BP
3. Prevent aspiration
4. Produce amnesia for peri-operative events

Correct answer: 2. Decrease BP

Explanation: Premedications are not used to decrease BP. They are used to the relief of anxiety, to decrease the dose of anaesthesia, to prevent aspiration, to decrease secretion & vagal stimulation, to produce perioperative amnesia, and to prevent post-operative nausea & vomiting.